A 64 year old male was undergoing aortic bypass surgery. During the procedure, the surgeon accidentally injured an artery arising from the aorta onn the left side at the level of lower thoracic that provides major blood supply to the spinal cord. Which of the following regions of the spinal cord is likely to be affected?
1. Upper two thirds of the spinal cord
2. Lower two third of the spinal cord
3. upper one third of the spinal cord
4. Lower one third of the spinal cord

Correct answer: 2. Lower two third of the spinal cord

Explanation: The artery of Adamkiewicz supplies the lower two-thirds of the spinal cord. The great anterior medullary artery of Adamkiewicz is a large feeder artery of the spinal cord. It originates from the aorta in the lower thoracic or upper lumbar vertebral levels. It is unilateral and in majority of the people, enters the spinal cord from the left side. It may be the major source of blood for the lower 2/3rd of the cord. Damage to this artery can lead to paraplegia. It can be a feeder to the anterior spinal artery and ischemia of the anterior segment is associated with the aortic bypass procedure. Ref: Snell's Clinical Neuroanatomy 8th edition Pgno: 472